True about varicella is following except:
1. One stage of rash is seen at one time
2. Humans are the only known reservoir
3. Children between 5 - 10 years old are most commonly affected
4. Patients are infectious - 48 hours before onset of the vesicular rash and until all vesicles are crusted

Correct answer: 1. One stage of rash is seen at one time

Explanation: Ans. is 'a' i.e., One stage of rash is seen at one time (Ref: David Greenwood, 18th/e, p. 428)* The skin lesions of chickenpox VZV - the hallmark of the infection - include maculopapular, vesicles, and scabs in various stages of evolution. These lesions, which evolve from maculopapular to vesicles over hours to days, appear on the trunk and face and rapidly spread to involve other areas of the body. Most are small and have an erythematous base with a diameter of 5-10mm. Successive crops appear over a 2 - to 4 - day period.